Most common blinding seen in epidemiology is:-
1. No blinding
2. Single blinding
3. Double blinding
4. Triple blinding

Correct answer: 3. Double blinding

Explanation: Most common blinding seen in epidemiology is Double blinding. Best type of blinding - Triple blinding. Major method for Removal of Bias - Blinding. Single Blinding - Subjects are not aware of Treatment they are getting. Double Blinding - Both Subject and investigator are not aware of treatment being given. M/C Seen in Epidemiology. Triple Blinding - Subject, Investigator and Analyzer are not aware of Treatment being given. Best blinding.